Not true regarding Optic Nerve
1. Made of axons of 2nd order neuron in visual pathway
2. 47-50 mm length
3. Intracranial part is the longest
4. Smallest part is intraocular

Correct answer: 3. Intracranial part is the longest

Explanation: CRANIAL NERVE Optic nerve arises from ganglion cell axons. *Length = 47-50mm. *Can be considered as part of brain *3rd order neuron *Protected by meninges *Parts: Intraocular, Intraorbital, intracanalicular, intracranial *Smallest part of optic nerve is intraocular *Longest part : Intraorbital Order of Neurons *Rods & Cones (Photoreceptors) *Bipolar Cells: 1st order Neuron *Ganglion Cells: 2nd order Neuron *Neurons that take impulse from LGB to Brain: 3rd order neuron